Primary spermatocytes, chromoso me is -
1. 23-X
2. 23-Y
3. 46-XY
4. None

Correct answer: 3. 46-XY

Explanation: Ans. is 'c' i.e., 46-XY Secondary spermatocyte (Haploid -23)-Spermatid(Haploid-23)Spermatogonia - Primary spermatocyteDiploid-46)(Diploid-46)Secondary spermatocyte (Haploid-23)-Spermatid(Haploid-23)